HHV - 8 causes all the following disease except
1. Kaposi sarcoma
2. Castleman's disease
3. Primary effusion lymphoma
4. Duncan syndrome

Correct answer: 4. Duncan syndrome

Explanation: Duncan syndrome is lymphoproliferative syndrome caused by EBV(HHV - 4).